A 5-week-old male infant is born without a thymus or inferior parathyroid glands. Which of the following pharyngeal arches is most likely involved?
1. First
2. Second
3. Third
4. Fourth

Correct answer: 3. Third

Explanation: Absence of the thymus and inferior parathyroid glands would be due to defective development of the third pharyngeal pouch, their normal site of origin. The first pouch gives rise to the tympanic membrane and cavity. The second pouch gives rise to the palatine tonsils and tonsillar sinus. The fourth pharyngeal pouch gives rise to the superior parathyroid glands and the parafollicular cells of the thyroid gland. The fifth pharyngeal pouch contributes to the formation of the parafollicular cells of the thyroid gland.